Most common site of ectopic pancreatic tissue is:
1. Stomach
2. Jejunum
3. Appendix
4. Hilum of spleen

Correct answer: 1. Stomach

Explanation: A i.e. Stomach - The accessory pancreatic tissue is most often located in the wall of stomachQ, or duodenum or in an ileal diverticulum (eg. Meckel diveicultun)(2 = Moore'sAccessory pancreatic tissue may be found anywhere from the distal end of esophagus to the tip of primary intestinal loop. Most frequently it lies in mucosa of stomach & in Meckel's diveiculute. (= Langman's)